Antidote for belladonna poisoning:
1. Neostigmine
2. Physostigmine
3. Pilocarpine
4. Methacholine

Correct answer: 2. Physostigmine

Explanation: Ans. B. PhysostigmineBeing tertiary amine, Physostigmine can reverse the CNS manifestation of belladonna poisoning. Whereas neostigmine has very less CNS penetration.